Natalizumab is used in treatment of -
1. Muliple sclerosis
2. Breast carcinoma
3. Psoriasis
4. B cell lymphoma

Correct answer: 1. Muliple sclerosis

Explanation: Ans. is 'a' i.e., Multiple sclerosis Treatment of multiple sclerosiso Multiple sclerosis is an autommune disease characterized by chronic inflammatory demylination that affects the CNS.o The most common course of the disease is the relapsing-remitting subtype, which is characterized by unpredictable acute attacks (relapses) followed by periods of relative remission with no new signs of disease activity. The other type (less common) is progressive subtype, which is characterized by a steady functional decline from disease onset.o Therapy for MS can be divided into several categories:-Treatment of acute attackCorticosteroids (Methyiprednisolone, prednisolone) are usedTreatment with disease-modifing agents that reduce the biological activity of MSy Disease modifying agents for multiple sclerosis are (i) IFN-fi la; (ii) IFN-fi lb, (iii) Glatiramer; (iv) Natalizumab: (v) Finoglimod: (vi) Mitoxantrone; (vii) Cladaribine.Other treatment optionsOther off-label treatment options are (i) methotrexate; (ii) cyclophosphamide; (iii) IV immunoglobulins; (iv) azathioprine.Symptomatic TreatmentIt includes healthy diet, regualr exercise, and:Treatment of rigidity (baclofen, diazepam, tizanidine, dantroline)Treatment of weakness (Potassium channel blockers like 4-aminopyTidine)Treatment of pain by anticonvulsants (carbamezapine, phenytoin, gabapentin, pregabalin), or antidiepressants (mexiletin).Treatment of UTI, bladder dysfunction, constipation, depression, fatigue and cognitive problems.